True about CP angle tumour:
1. Absent corneal reflex
2. Superior oblique palsy
3. Pupillary dilatation
4. Medial rectus palsy

Correct answer: 1. Absent corneal reflex

Explanation: (a) Absent corneal reflex(Ref. Cummings, 6th ed., 2750)Involvement of 3rd and 4th cranial nerve causing pupillary dilatation and medial rectus and superior oblique palsy is not described in Acoustic neuroma.